Which of the following hepatitis virus have significant perinatal transmission -
1. HEV
2. HCV
3. HBV
4. HAV

Correct answer: 3. HBV

Explanation: HBV is a bloodborne virus and the infection is transmitted by parenteral, sexual and perinatal modes. REF:ANANTHANARAYAN AND PANIKER'S TEXTBOOK OF MICROBIOLOGY 9TH EDITION PAGE NO-545,546